Virus responsible for post transplant lymphoproliferative disorders-
1. HSV
2. EBV
3. CMV
4. HIV

Correct answer: 2. EBV

Explanation: The incidence of tumors in patients on immunosupressive therapy is 100 times greater than that in general population The most common lesions are cancer of lips, skin,carcinoma cervix(human papilloma virus) lymphoma such as Non -Hodgkins lymphona(Epstein barr virus). Ref:Harrison 20 th edition pg no 2131